Bochdalek hernia occurs through:
1. Anteromedial part of diaphragm
2. Posterolateral part of diaphragm
3. Central tendon of diaphragm
4. None of the above

Correct answer: 2. Posterolateral part of diaphragm

Explanation: Ans. B. Posterolateral part of diaphragmA Bochdalek hernia is one of two forms of a congenital diaphragmatic hernia, the other form being Morgagni hernia. A Bochdalek hernia is a congenital abnormality in which an opening exists in the infant's diaphragm, allowing normally intra-abdominal organs (particularly the stomach and intestines) to protrude into the thoracic cavity. In the majority of patients, the affected lung will be deformed, and the resulting lung compression can be life-threatening. Bochdalek hernias occur more commonly on the posterior left side.